The Prostatic urethra is characterized by all of the following features, except that it:
1. Is the widest and most dilatable part
2. Presents a concavity posteriorly
3. Lies closer to anterior surface of prostate
4. Receives Prostatic ductules along its posterior wall

Correct answer: 2. Presents a concavity posteriorly

Explanation: Prostatic urethra is the widest and most dilatable part of the urethra and is concave anteriorly. Ref: Snell's Clinical Anatomy, 7th Edition, Page 382; Cunningham's Manual of Practical Anatomy, 15th Edition, Volume 2, Page 223